All are seen in Behchets syndrome except -
1. Genital ulcers
2. Uveitis
3. Oral ulcers
4. Pyoderma gangrenosum

Correct answer: 4. Pyoderma gangrenosum

Explanation: Ans. is 'd' i.e., Pyoderma gangrenosum Behcet's diseaseo Behcet's disease is a multisystem disease that is defined by the presence of oral aphthosis with at least two of the following: genital aphthae, synovitis, posterior uveitis, cutaneous pustular vasculitis or meningoencephalitis, in the absence of IBD or autoimmune Diseases .o Children sometimes develop Behcet's disease, but it typically affects young adults.o Its association with HLA-B51Diagnostic criteria:Recurrent oral ulceration - Minor aphthous, major aphthous, or herpetiform ulceration observed by physician orpatient that recurred at least 3 times in one 12-month periodPlus two of the following criteria :Recurrent genital ulceration Aphthous ulceration or scarring observed by physician or patientEye lesions : Anterior uveitis, posterior uveitis, or cells in vitreous on slit-lamp examination; or retinal vasculitis observed by ophthalmologistSkin lesions : Erythema nodosum observed by physician or patient, pseudofolliculitis or papulopustular lesions; or acneiform nodules observed by physician in post-adolescent patients not receiving corticosteroid treatmentPositive pathergy test: Read by physician at 24-48 h.